Most common site of carcinoid in gut is ?
1. Esophagus
2. Appendix
3. Ileum
4. Ractum

Correct answer: 3. Ileum

Explanation: Ans. is 'c' i.e., IleumCarcinoid tumoro Carcinoid tumors arise from the neuroendocrine cells.o The majority are found in GI tract, and more than 40% in small intestine (jejunum & o The tracheobronchial tree and lungs are the next common sites involved.Features of gastrointestinal carcinoid tumorsFeatureEsophagusStomachProximalJejunum andAppendixColorectum DuodenumIleum Fraction of GI<1%<10%<10%>40%<25%>25%Carcinoids Mean patientage (yr)Rare555065All ages60LocationDist!'Body and fundusProximal third,peri-ampullaryThroughoutTipRecturcecumSizeLimited data1-2 cm, multiple;0.5-2 cm<3.5 cm0.2-1 cm>5 cm (cecum); >2 cm, solitary <1 cm (rectum)Secretoryproduct(s)Limited dataHistamine,somatostatin,serotoninGastrin,somastostatin,cholecystokininSerotonin,substance P,polypeptide YYSerotonin,polypeptideYYSerotonin,polypeptideYYSymptomsDysphagia,weight loss,refluxGastritis, ulcer,incidentalPeptic ulcer, biliaryobstruction,abdominal painAsymptomatic,obstruction,metastaticdiseaseAsymptomatic,incidentalAbdominal pain,weight loss,incidental